WHICH Material used in vertebroplasty is
1. Isomethyl methacrylate
2. Isoethyl methacrylate
3. Polyethyl methacrylate
4. Polymethyl methacrylate

Correct answer: 4. Polymethyl methacrylate

Explanation: *Vertebroplasty and kyphoplasty are interventional radiologic procedure for the treatment of the intense pain refractory to medical management of bracing causes by vertebral compression fracture associated with osteoporosis, tumors and trauma. *Vertebroplasty and kyphoplasty involve intraosseuos injection of acrylic cement- polymethyl methacrylate under local anesthesia and fluoroscopic guidance. Ref: maheswari 9th ed